Yuzpe method is a type of
1. Emergency post-coital hormonal contraception
2. Emergency post-coital IUCD contraception
3. Male contraception
4. Reversible minilap

Correct answer: 1. Emergency post-coital hormonal contraception

Explanation: Ans. a (Emergency post-coital hormonal contraception) (Ref. Shaw's Textbook of Gynaecology 13th ed:233)In Yuzpe method, a post-coital hormonal contraception, two doses of 100 meg ethinyl-oestradiol + 500 meg levonorgestrel 12 h apart are given in 72 hours of intercourse.EMERGENCY CONTRACEPTION (POSTCOITAL CONTRACEPTION)Mechanism of action1. Delaying/inhibiting ovulation2. Inhibiting fertilization3. Preventing implantation of fertilized egg.4. Degenartion of Corpus leuteumIndications1. Unprotected intercourse2. Condom rupture3. Missed pills4. Sexual assault or rape5. First time intercourse.Risk of pregnancy after single act of unprotected coitus around time of ovulation--8%.Methods1. Morning after pills (Conjugated estrogen and ethnyl estradiol)--use in 72 hr.2. Combined hormonal regimen (YUZPE method)23. POP (very successful)4. IUCD (should be inserted within 5 days)5. RU486 (Mifepristone)-single dose 600 mg irrespective of day and number of intercourse.ALSO KNOWVery low dose OC pills called Mircette - (desogestrel/ethinyl estradiol and ethinyl estradiol) Tablets provide an oral contraceptive regimen of 21 white round tablets each containing 0.15 mg desogestrel and 0.02 mg ethinyl estradiol.